A boy alleging age 9 years is brought for medical examination. The total number of teeth at this age would be:
1. 20
2. 24
3. 28
4. 32

Correct answer: 2. 24

Explanation: Period of Mixed dentition- 6-11 years In this period, all the temporary teeth are replaced by permanent teeth and there is no addition. Calcification and eruption of permanent teeth Tooth Calcification begins Eruption Calcification complete First molar At birth 6 to 7 years 9 to 10 years Central incisor 3 to 4 months 6 to 8 years 10 years Lateral incisor 1 year 7 to 9 years 11 years First bicuspid 1 1/2 years 9 to 11 years 12 to 13 years Second bicuspid 2 years 10 to 12 years 12 to 14 years Canine 4 to 5 months 11 to 12 years 12 to 13 years Second molar 2 1/2 to 3 years 12 to 14 years 14 to 16 years Third molar 8 to 10 years 17 to 25 years 18 to 25 years